The drug of choice in scleroderma induced hypertensive crisis is:
1. ACE inhibitors
2. Angiotensin receptor blockers
3. Beta blockers
4. Sodium nitroprusside

Correct answer: 1. ACE inhibitors

Explanation: Ans. (a) ACE inhibitorsRef ERS Pharmacology Gobind Sparsh /85ACE inhibitors are drug of choice for scleroderma induced hypertensive crisis. Other important points about ACE inhibitors can be remembered as:C - CoughA - AngioedemaP - Prodrugs (except captopril and Lisinopril)T - Taste disturbancesO - Orthostatic hypotension (when combined with diuretics)P - Pregnancy (contra-indicated)R - bilateral Renal artery stenosis (contra-indicated)I - Increased K+ (contra-indicated)L - Lower the formation of Ang II (Mechanism)